All of the following are predisposing factors for breast carcinoma except
1. Family history of breast carcinoma
2. First child at a younger age
3. Early menarche and late menopause
4. Nulliparous women

Correct answer: 2. First child at a younger age